Odontogenic pain
1. Tooth and periodontal ligament pain
2. Bone pain
3. Soft tissue pain
4. Jaw pain

Correct answer: 1. Tooth and periodontal ligament pain